The slow wave sleep predominating in first one third of night sleep is feature of which phase of sleep?
1. NREM stage 3 and 4
2. NREM stage 1 and 2
3. NREM stage 1
4. REM

Correct answer: 1. NREM stage 3 and 4

Explanation: Ans. A. NREM stage 3 and 4. (Ref. Guyton Physiology 11thIpg. 743; Fig.59-4; Ganong 23rd/pg. 121-127, 746)Guyton Physiology 11th/pg. 743....................Alpha waves are rhythmical waves that occur at frequencies between 8 and 13 cycles per second and are found in the EEGs of almost all normal adult people when they are awake and in a quiet, resting state of cerebration. These waves occur most intensely in the occipital region but can also be recorded from the parietal and frontal regions of the scalp. Their voltage usually is about 50 microvolts. During deep sleep, the alpha waves disappear.When the awake person's attention is directed to some specific type of mental activity, the alpha waves are replaced by asynchronous, higher-frequency but lower-voltage beta waves. The effect on the alpha waves of simply opening the eyes in bright light and then closing the eye is that the visual sensations cause immediate cessation of the alpha waves and that these are replaced by low-voltage, asynchronous beta waves.Beta waves occur at frequencies greater than 14 cycles per second and as high as 80 cycles per second. They are recorded mainly from the parietal and frontal regions during specific activation of these parts of the brain.Theta waves have frequencies between 4 and 7 cycles per second. They occur normally in the parietal and temporal regions in children, but they also occur during emotional stress in some adults, particularly during disappointment and frustration. Theta waves also occur in many brain disorders, often in degenerative brain states.Delta waves include all the waves of the EEG with frequencies less than 3.5 cycles per second, and they often have voltages two to four times greater than most other types of brain waves. They occur in very deep sleep, in infancy, and in serious organic brain disease. They also occur in the cortex of animals that have had subcortical transections separating the cerebral cortex from the thalamus. Therefore, delta waves can occur strictly in the cortex independent of activities in lower regions of the brain.